Which of the following acts by inhibiting HMG CoA reductase?
1. Ezetimibe
2. Gemfibrozil
3. Clofibrate
4. Lovastatin

Correct answer: 4. Lovastatin

Explanation: Ans. d (Lovastatin). (Ref. Harrison, Principle of Medicine, 17th/Table 350-6; KDT\ Pharmacology, 4th ed., 618) Lipid-lowering agents Drug Major Indications Mechanism Common Side Effects HMG-CoA reductase inhibitors (statins) Lovastatin,Pravastatin. Simvastatin, Fluvastatin Atorvastatin, Rosuvastatin Elevated LDL-C |Cholesterol synthesis, | hepatic LDL receptors, |vLDL production Myalgias, arthralgias, elevated transaminases, dyspepsia Cholesterol absorption inhibitors Ezetimibe Elevated LDL-C |Intestinal cholesterol absorption Elevated transaminases Bile acid sequestrants Cholestyramine, Colestipol Colesevelam Elevated LDL-C Bile acid excretion LDL receptors Bloating, constipation Elevated TG Nicotinic acid Immediate-release Sustained-release Extended-release Elevated LDL-C, low HDL-C, |VLDL hepatic synthesis Cutaneous flushing, GI upset, elevated glucose, uric acid, and liver function tests Fibric acid derivatives Gemfibrozil Fenofibrate Elevated TG elevated remnants | LPL, |VLDL synthesis Dyspepsia myalgia, gallstones elevated transaminases Omega 3 fatty acids Elevated TG | TG catabolism Dyspepsia, diarrhea, fishy odor to breath